Hereditory spherocytosis is due to deficiency of-
1. Ankyrin
2. Actin
3. Selectin
4. Integrin

Correct answer: 1. Ankyrin

Explanation: HS is caused by diverse mutations that lead to an insufficiency of membrane skeletal components. The pathogenic mutations most commonly affects ankyrin, band 3, spectrin, or band 4.2. Ref :Robbins pathologic basis of disease ; south east asia edition ;pg:633